Pemphigus vulgaris is caused due to which type of hypersensitivity reaction?
1. I
2. II
3. III
4. IV

Correct answer: 2. II

Explanation: Ans. is 'b' i.e., lllRef: IADVL textbook of dermatology 3'd/e p. 10991Pemphigus is a type 2 hypersensitivity reaction (antibody mediated), with formation of antibodies to pemphigus antigen present rn intercellular substance.